False about the malignant ulcer of the stomach is-
1. The mucosal folds do not reach the edge of the ulcer
2. Mucosal folds are thickened and fused
3. Ulcer crater is eccentric
4. Margins of the ulcer are overhanging

Correct answer: 4. Margins of the ulcer are overhanging

Explanation: Margins of the ulcer is overhanging in benign ulcers, not in malignant ulcer of stomach.
In benign ulcer, surrounding gastric mucosal folds are converging towards the base of the ulcer with overhanging margins whereas in malignant ulcer, these folds are effaced around the ulcer and the margins are heaped up and everted.